Fever & hemorrhagic rash are seen in ail except:
1. Dengu fever
2. Lassa fever
3. Rift Valley fever
4. Sand fly fever

Correct answer: 4. Sand fly fever

Explanation: Ans: D (Sand,.) [Ref: Ananthanarayan 8th/514.518-19; Harrison 18th/l50,1629; Medical microbiology by Greenwood 16 th /4961The viral HF syndrome is a constellation of findings based on vascular instability and decreased vascular integrity. An assault, direct or indirect, on the microvasculature leads to increased permeability and (particularly when platelet function is decreased) to actual disruption and local hemorrhage"Dengue (breakbone fever) Q is a mosquito-borne infection caused by a flavivirus that is characterized by fever, severe headache, muscle and joint pain, nausea and vomiting, eye pain, and rash"-Harrison 18th/1632"Lassa fever: The disease is characterized by very high fever, mouth ulcers, severe muscle aches, skin rash with hemorrhages, pneumonia, and heart and kidney damage"- Harrison 18th/1628Viral hemorrhagic feverArboviruses and arenavirusesPetechial rash Residence in or travel to endemic areas or other virus exposureTriad of fever, shock, hemorrhage from mucosa or gastrointestinal tractTable (Harrison 18th/1629): Viral Hemorrhagic Fever (HF) Syndromes and Their DistributionDiseaseIncubation Period, DaysCase-Infection RatioCase-Fatality Rate, %Geographic RangeTarget PopulationLasso fever-5-16Mild infections probably common15West AfricaAll ages, both sexesRift Valley fever2-5~1:100a~50Sub-Saharan Africa, Madagascar. EgyptAll ages, both sexes; more often diagnosed in men; preexisting liver disease may predisposeCrimean-Congo HF3-12>1:515-30Africa, Middle East, Turkey, Balkans, southern region of former Soviet Union, western ChinaAll ages, both sexes: men more exposed in some settingsYellow fever3-61:2-1:2020Africa, South AmericaAh ages, both sexes; adults more exposed in jungle setting; preexisting flavivirus immunity may cross-protectDengue HF/dengue shock syndrome2-7Nonimmune, 1:10,000; heterologous immune, 1:100<1 with supportive treatmentTropics and subtropics worldwidePredominantly children: previous heterologous dengue infection predisposes to HF